Fructose is transported by
1. GLUT 5
2. GLUT 4
3. GLUT3
4. GLUT 7

Correct answer: 1. GLUT 5

Explanation: GLUT 5